Persistent and pronounced Cutis marmorata occurs in the following EXCEPT
1. Menkes disease
2. Familial dysautonomia
3. Down syndrome
4. Keshan Bach's disease

Correct answer: 4. Keshan Bach's disease

Explanation: Cutis Marmorata When a newborn infant is exposed to low temperature - an evanescent, lacy, reticulated blue cutaneous vascular pattern appears over the body surface. This vascular change represents an accentuated physiologic vasomotor response that disappears with increasing age. Persistent and pronounced cutis marmorata seen in - Menkes disease Familial dysautonomia Cornelia de Lange Down syndrome Trisomy 18 syndrome